Hernia containing another viscus as posterior wall is known as.
1. Hernia en glissade
2. Richter Hernia
3. Maydl Hernia
4. Spigelian hernia

Correct answer: 1. Hernia en glissade

Explanation: Ans. (a) Hernia En GlissadeRef: Sabiston 20th edition Page 1104* Sliding hernia (Hernia en Glissade) is one in which the posterior wall of sac contains retroperitoneal structures like Sigmoid (MC), Cecum, Bladder.